La belle indifference is seen in -
1. Conversion reaction
2. Schizophrenia
3. Mania
4. Depression

Correct answer: 1. Conversion reaction

Explanation: In conversion (dissociative) disorder, inspite of the severity of symptoms many patients are indifferent to their presence. It is referred to as la belle indifference.